Cereals and pulses are considered complementary since -
1. Cereals are dificient in methionine
2. Cereals are deficient in methionine and pulse are deficient in lysine
3. Cereals are deficient in lysine and pulses are deficient in methionine
4. Cereal proteins contain non-essential amino acids, while pulse proteins contain

Correct answer: 3. Cereals are deficient in lysine and pulses are deficient in methionine

Explanation: - cereal protein are deficient in lysine and threonine and pulse protein in methionine. - these are known as limiting aminoacid. - when two or more of vegetarian foods are eaten together, their protein supplement one another. Reference : Park's textbook of preventive and social medicine, 23rd edition, pg no:610